Wrist drop is seen with -
1. Radial nerve palsy
2. Median nerve palsy
3. Ulnar nerve palsy
4. Posterior interosseous nerve palsy

Correct answer: 1. Radial nerve palsy

Explanation: Ans. is 'a' i.e., Radial nerve palsyDeformity or disorderNerve involvedo Wrist dropo Foot dropo Claw hand (complete)o Ulnar ciawr hando Ape thumb deformity'o Pointing indexo Policeman tip deformityo Winging of scapulao Meralgia parestheticao Radial nerveo Common peroneal nerve (Lateral popliteal)o Ulnar + Median nerveo Ulnar nerveo Median nerveo Median nerveo Erb's Palsy (Brachial plexus)o Long thoracic nerve (nerve to SA)o Lateral cutaneous nerve of thigh